Recurrent oral ulcers with pain and erythematous halo around them, the diagnosis is :
1. Aphthous ulcer
2. Heipes
3. Chicken pox
4. Measles

Correct answer: 1. Aphthous ulcer

Explanation: Ans. is 'a' Apthous ulcer "Apthous ulcers appear as crops of between one and many ulcers on a cyclical basis. The ulcers are upto 0.5 cm across, round or oval in shape, with a yellow base and a red erythematous margin. They are distinctly painful, occur in the keratinised mucosa of the cheek, lips, soft palate and floor of the mouth and normally heal within 10 to 14 days. The frequency of the ulcerative episodes varies considerably. They occur more frequently in women than men and may then coincide with the second half of the menstrual cycle"